What is the maximum recommended percentage of fat in diet as per WHO?
1. 20%
2. 30%
3. 35%
4. 40%

Correct answer: 2. 30%

Explanation: The WHO/ FAO expert group on diet, nutrition, and prevention of chronic diseases endorse that qualitative composition of fats in diet has a significant role to play in modifying risk factors of coronary vascular disease. Total fat should be around 15 to 30 % (% of energy) Ref: Park 22nd edition, page 567